Which of the following excludes painful stimuli from awareness?
1. Repression
2. Reaction formation
3. Projection
4. Rationalization

Correct answer: 1. Repression

Explanation: Repression is the defense mechanism which removes painful memories or unacceptable desires away from the consciousness or awareness.